Not a B cell marker -
1. CD 19
2. CD 20
3. CD 134
4. CD 10

Correct answer: 3. CD 134

Explanation: . CD 134